All form the boundaries of ovarian fossa, except ?
1. Ureter
2. Internal pudendal artery
3. Obliterated umbilical artery
4. Internal iliac artery

Correct answer: 2. Internal pudendal artery

Explanation: Each ovary lies in ovarian fossa an the lateral pelvic wall which is bounded :-i) Anteriorly : Obliterated umblical arteryii) Posteriorly : Ureter and internal iliac artery